A test has sensitivity of 90% and specificity of 95%. True statement is:
1. The test is likely to be useful for general screening
2. Sensitivity=true positive(true positive+false negative)
3. Sensitivity indicates the test is negative when disease is present
4. 10% positive tests are false positive

Correct answer: 2. Sensitivity=true positive(true positive+false negative)

Explanation: (Refer: K. Park’s Textbook of Preventive and Social Medicine, 24th edition, pg no: 150)
Framework of screening test